Most realistic approach in managing a difficult child in
dental clinic is
1. Disregard the behavior of child
2. Make child familiar with clinical atmosphere
3. Physical methods to make child accept for treatment
4. None of the above

Correct answer: 2. Make child familiar with clinical atmosphere